Acute hemorrhagic conjunctivitis is seen w ith -
1. Adenovirus
2. Staphylococcal
3. Pneumococcus
4. Hemophilus

Correct answer: 1. Adenovirus

Explanation: Ans. is 'a' i.e., Adenovirus o Acute hemorrhagic conjunctivitis, also known as Apollo disease, is mainly caused by two picornavirusesi) Enterovirus 70 (most common)ii) Coxsackievirus A24o Less commonly, Adenovirus type 11 can also cause acute hemorrhagic conjunctivitis.o The signs of the disease include rapid onset of severe, painful follicular conjunctivitis with chemosis, tearing, lid edema and the development of tiny subconjunctival hemorrhageo The cornea may be involved with a fine punctate keratitis and rarely, subepithelial opacities.